Abdominal ultra-sonography in a 3 year old boy show a solid circumscribed hypoechnoic renal mass. Most likely diagnosis is -
1. Wilm's tumor
2. Renal cell carcinoma
3. Mesoblastic nephroma
4. Oncocytoma

Correct answer: 1. Wilm's tumor

Explanation: Amongst the given options only Wilms tumor is common at 3 years of age :-
 Wilm's tumor                  → young children (mean 3 years)
Mesoblastic nephroma     → < 1 year
Renal cell carcinoma        → > 40 years
Oncocytoma                    → 25-95 years (mean 65)